The most preferred approach for pituitary surgery as the present time is
1. Transcranial
2. Transethmoidal
3. Trans-sphenoidal
4. Transcallosal

Correct answer: 3. Trans-sphenoidal

Explanation: PITUITARY TUMOURS Classification: 1. Eosinophil (Acidophil) adenomas 2. Chromophobe adenomas: Differential diagnosis: Meningiomas, aneurysms 3. Basophil adenomas 4. Prolactin-secreting adenomas Treatment:  Surgery: By subfrontal craniotomy approach or transphenoidal approach. Care should be taken not to injure optic chiasma, arteries, cavernous sinus. Ref: SRB's Manual of Surgery, 4th Edition, pg. no. 1186